Treatment of infantile spasm includes all except-
1. Corticosteroids
2. Phenytoin
3. ACTH
4. Vigabatrin

Correct answer: 2. Phenytoin

Explanation: Ans. is 'b' i.e., Phenytoin Infantile spasm (Infantile myoclonus or West syndrome)* The onset is usually between 3-8 months of life* It is characterized by triad of -i) Salaam spells (sudden dr oping of the head & flexion of arms)ii) Intellectual disabilityiii) Hypsarrhythmic pattern ofEEG (diffuse high voltage slow spike and chaotic activity)* The spasm occur in clusters usually on waking.* Prognosis for normal mental development is poor.* Vigabatrin (drug of choice), ACTH (2nd choice) and corticosteroids are used for treatment.